Long acting non-depolarising competitive blocker is
1. Doxacurium
2. Rocuronium
3. Mivacurium
4. Atracurium

Correct answer: 1. Doxacurium